The protein synthesis is sorted out at/by
1. Ribosomes
2. Mitochondria
3. Golgi-apparatus
4. Endoplasmic reticulum

Correct answer: 3. Golgi-apparatus

Explanation: Main function of Golgi apparatus is protein sorting, packaging, and secretion. Mitochondria are the powerhouse of cell. Detoxification of various drugs is an important function of ER. Ribosomes are involved in protein synthesis.Ref: DM Vasudevan - Textbook of Biochemistry for Medical Students, 7th edition, page no: 12